Meissner's plexus are present in:
1. Mucosa
2. Submucosa
3. Muscularis layer
4. Serosa

Correct answer: 2. Submucosa

Explanation: Ans: B (Submucosa) Ref: Ganong Medical Physiology, 21st ed.Explanation:All segments of the Gl tract are divided into four layers:The mucosa (epithelium, lamina propria, and muscular mucosae)The submucosa (Meissner's plexus)The muscularis propria (inner circular muscle layer, intermuscular space and outer longitudinal muscle layer) (Myenteric Auerbach plexus - between longitudinal and circular layers)The serosa